Which of the following viruses is NOT implicated in the causation of Hand, mouth & Foot disease?
1. Coxsackie A16
2. Coxsackie A5
3. Coxsackie B 4
4. Human enterovirus 71

Correct answer: 3. Coxsackie B 4

Explanation: The hand, foot and mouth disease is caused by coxsackie A16, A5, A10 and not uncommonly by human enterovirus 71. Most cases are in young children during the autumn months as vesicles on the hands, usually occurring on the sides or backs of fi ngers and toes with oral erosions. Note: Coxsackie A 16 also cause Giantti Crosti syndrome. Ref: Rook's textbook of dermatology, Edition-8, Page-33.72.